A 40 years old male was brought to the emergency with watery diarrhea. The diagnosis was made on stool cytotoxin assay. On colonoscopy, ulcers, plaques and pseudomembranes were visualized. Patient condition improved drastically after use of metronidazole. CECT finding is given below. What is the name of the sign seen on CECT??
1. Accordion sign
2. Central stellate scar
3. Whorl sign
4. Honeycombing

Correct answer: 1. Accordion sign

Explanation: Emergency Water diarrhoea Dx: stool cytotoxin assay Colonoscopy: Pseudo membrane Improvement on Oral vancomycin CECT: Accordion sign Pseudo membranous colitis Pseudo membranous Colitis: - Due to intake of clindamycin - | risk Diagnosis - Diagnosis is made after detection of one or both toxins by: -Stool cytotoxin assay - Colonoscopy: characteristic ulcers, plaques, and pseudo membranes Treatment - Immediate cessation of offending antimicrobial agent - Mild disease:-Oral vancomycin: Drug of choice - Severe disease: Bowel rest, IV hydration, and IV metronidazole or oral vancomycin.